The earliest indicator of response after starting iron therapy in a 6 year old with iron deficiency is:
1. Increased ferritin
2. Increased haemoglobin
3. Increased reticulocyte count
4. Increased serum iron

Correct answer: 3. Increased reticulocyte count

Explanation: Ans. C. Increased reticulocyte count* Reticulocyte count is the earliest to rise after starting iron therapy.* This is followed by elevation of haemoglobin levels.* Body iron stores are repleted after the correction of haemoglobin levels.